Staphylococcus causes A/E::
1. Scarlet fever
2. TSS
3. Carbuncle
4. Sycosis barbae

Correct answer: 1. Scarlet fever

Explanation: A i.e. Scarlet fever Scarlet fever and erysipelas are streptococcal infections (not caused by staphylococcus)Q. Scarlet fever is caused by Group A streptococcusQ Erysipelas is acute inflamation of lymphatics of skin caused by /Hemolytic - streptococciQ There is sudden onset of well marginated painful & swollen erythematous area usually on the face or lower limb.Q There may be haemorrhage & blisters. Milian's ear sign is positive. Ecthyma - Varient of impetigo with punched out lesions generally on lower extremity. Scalded Skin Syndrome - Caused by Exfoliative Toxin (ET) or ExfoliatinQ elaborated by Staphylococcus.Q - Severe form of SSS is known as: Ritter's disease in new born0 Toxic Epidermal Necrolysis (TEN) in olderQ individuals Carbuncles & Furuncle (Boils) - Staphylococcus aureus infection of hair follicleQ Sycosis barbae & Sycosis nuchae - Deep Staphylococcus aureus infection of hair follicles. - Asymptomatic or Painful & tender erythematous papules & pustules situated around coarse terminal hairs in beard (S. barbae) & back of neck (S. nuchae).